1st  urge at micturition comes at -
1. 50 ml
2. 250 ml
3. 150 ml
4. 350 ml

Correct answer: 3. 150 ml

Explanation: “The first urge to void is felt at a bladder volume of about 150 ml, and a marked seme of fullness at about 400 ml”.
- Ganong